Which of the following is true regarding medium chain fatty acids -
1. Do not require pancreatic lipase
2. Not deposited in adipose tissue
3. Diffuse directly into portal circulation
4. All of the above

Correct answer: 4. All of the above

Explanation: Ans. is 'd' i.e., All of the above o Metabolism of short-chain fatty' acids (SCFAs) and medium chain fatty acids (MCFAs) is drastically different from long chain fatty acids (LCFAs). o SCFAs and MCFAs do not require pancreatic lipase and bile salts for digestion but required for LCFAs digestion. o SCFAs and MCFAs are directly absorbed from the intestine into the portal circulation, whereas LCFAs are taken by lymphatics, after incorporation into chylomicrons. o SCFAs and MCFAs are oxidized by peripheral cells and are not used for storage. LCFAs are esterified with glycerol to form triacylglycerol, the storage form of lipid. Short and medium chain fatty acids Long chain fatty acids Examples Butyric acid (C = 4) in butter and lauric acid (C = 12) in coconut oil Palmitic acid (C=l 6) and stearic acid (C= 18) in vegetable oils and animal fats Digestion in stomach Hydrolysed Not hydrolysed Pancreatic lipase Not necessary Q ssential Bile salts Not necessary Absolutely essential Inside intestinal cells TAG is hydrolysed to form fatty acids Free fatty acids are re-esterified to form TAG Absorbed Directly to blood (Portal circulation) Q To lymphatics, then to the thoracic duct Absorbed as Free fatty acid carried by albumin TAG carried by chylomicrons Immediate fate Oxidised by peripheral cells Q Deposited in the adipose tissue Carnitine Is not required for oxidation Is required for oxidation Clinical application No effect on atherosclerosis Hypercholesterolemia and atherosclerosis